Estein Barr (EB) virus has been implicated in the following malignancies except -
1. Hodgkin's disease
2. Non Hodgkin's lymphoma
3. Nasopharyngeal carcinoma
4. Multiple myeloma

Correct answer: 4. Multiple myeloma

Explanation: EBV associated malignancies a.burkitts lymphoma b.lymphoma in aids patients c.nasopharyngeal carcinoma d.hodgkins and nonhodgkins REF:ANANTHANARYANAN TEXTBOOK OF MICROBIOLOGY 9EDITION PGNO.475